Enlarged corneal nerves may be seen in all of the following except:
1. Keratoconus
2. Herpes simplex keratitis
3. Leprosy
4. Neurofibromatosis

Correct answer: 2. Herpes simplex keratitis

Explanation: Enlarged corneal nerves not seen in Herpes simplex keratitis. Ref:Color Atlas of Ophthalmology: The Quick-Reference Manual for Diagnosis and Treatment By Amar Agarwal, Soosan Jacob, 2009, Page 191